Which of the following is true about dyslexia?
1. Most common learning disability
2. Reading is fairly good and quick
3. Common in preschool years
4. Charaterized by poor attention span

Correct answer: 1. Most common learning disability

Explanation: Ans. is 'a' i.e., Most common learning disability Dyslexiao Dyslexia - problem in reading, spelling and written expressiono Intelligence is normalo Dyslexia is the most common type of learning disability. Children with dyslexia have problem in reading, spelling and written expression.o The important clues to dyslexia in school age children include delayed language, trouble rhymic words, mispronunciation, hesitation, work-finding difficulties and poor spellings with presence of letter reversal. Reading is slow, inaccurated and labored.